All the following features precipitate sickling of HbS except:
1. Hypoxia
2. Dehydration
3. Infections
4. Alkalosis

Correct answer: 4. Alkalosis

Explanation: - Acidosis precipitate the sickling of HbS not alkalosis. - Conditions that precipitate sickling of HbS are: Increase in concentration of the HbS. Acidosis Hypoxia Dehydration. Exercise. infections - Particularly seen in those organs in which time taken for RBC's to pass through it is more (organs having sluggish circulation)